The diuretic of choice for rapid relief of congestive symptoms in a patient of CHF is:
1. Hydrochlorothiazide
2. Furosemide
3. Metolazone
4. Amiloride

Correct answer: 2. Furosemide